A patient was operated for colonic carcinoma and later a solitary nodule was found in the liver Treatment of choice is :
1. Surgery
2. Radiation
3. Chemotherapy
4. Conservative treatment

Correct answer: 1. Surgery

Explanation: Answer is A (Surgery) The presence of metastatic disease to the liver does not preclude the surgical excision of the primary tumor and even the liver metastasis. Treatment of metastatic disease: presence of isolated metastasis to lung or liver, 1 to 3 in number is not a contraindication to surgery. Treatment here involves resection or cryosurgical ablation of secondries, alongwith the management of the primary. The reason for proceeding with surgery for colorectal CA (CRC) in presence of liver metastasis are : First, if the colonic tumor is left untreated, death is imminent, and its cause will not be cancer but colonic obstruction or bleeding. Second, there is a significant cure rate for patients undergoing surgery for CRC metastatic to the liver.